Immediate side shift Bennett movement is:
1. Mandible shifts before the forward movement of the non-working condyle.
2. Mandible shifts after the forward movement of the non-working condyle.
3. The lateral translation that continues linearly after 2-3 mm of forwarding movement of the non-working condyle.
4. Mandible shifts before the forward movement of the working condyle.

Correct answer: 1. Mandible shifts before the forward movement of the non-working condyle.

Explanation: Immediate side shift Bennett movement: 
Here the mandible shifts before the forward movement of the non-working condyle occurs. This movement occurs in 86% of the condyles. This shift ranges 1 to 4 mm in dimension.
Progressive side shift or Bennett side shift: 
Lateral translation that continues linearly after 2 - 3 mm of forward movement of the non working condyle.